Jaggery contains good amont of -
1. Vitamin C
2. Calcium
3. iron
4. Vitanun D

Correct answer: 3. iron

Explanation: Ans. is 'c' i.e., Iron Jaggery contains useful amount of carotene and Iron, derived from cooking pans.